Thrombotic thrombocytopenic purpura is a syndrome characterized by -
1. Thrombocytosis, anemia, neurologic abnormalities, progressive renal failure and fever.
2. Thrombocytopenia, anemia, neurologic abnormalities, progressive hepatic failure and fever
3. Thrombocytosis, anemia neurologic abnormalities, progressive renal failure and fever
4. Thrombocytopenia, anemia, neurological abnormalities, progressive renal failure and fever

Correct answer: 4. Thrombocytopenia, anemia, neurological abnormalities, progressive renal failure and fever

Explanation: Ans. is 'd' i.e., Thrombocytopenia, anemia, neurological abnormalities, progressive renal failureand fever o Thrombotic thrombocytopenic purpura is a disorder of 1vessel wall' characterised by lesions in arteriolar walls in various organs that initiate formation of localised platelet thrombi and fibrin deposits at various sites.Clinical pentad of TTPo Microangiopathico Thrombocytopeniao Decreased renalo Disturbed neuro-o FeverHemolytic(due to consumptionfunction (duelogical function Anemia (Coomb's negative)of platelets)deposits in theCharacteristically # HaemolysisRenaland non focal e.g.diffuse # Fragmentation of RBC'sVasculature).# Confusion # Increased LDH (elevated # Aphasia due to intra-vascular # Alteration in hemolysis) consciousness Testes of coagulation are generally normal :-o Normal PTo Normal APTTo Normal Fibrinogen concentrationo Normal Fibrin degradation products